How many items are there in Mini mental state examination (MMSE)?
1. 10
2. 15
3. 20
4. 30

Correct answer: 4. 30

Explanation: Ans.D.30ExplanationMMSE or Folstein test is a simplified form of routine cognitive status examination. It is routinely used to track improvement and deterioration. It includes following points:Orientation to time-5Orientation to place-5Registration-3Attention and calculation-5Recall-3Language-2Repetition-1Complex commands-6Total score-30, score less than 24 indicates cognitive impairment.